Which drug has more analgesic effects than morphine?
1. Heroin
2. Apomorphine
3. Codeine
4. Pethidine

Correct answer: 1. Heroin

Explanation: Codeine is less potent than morphine as an analgesic(60mg codeine=10 mg morphine). 100 mg pethidine= 10 mg morphine.Heroin is converted to morphine in the body and has higher lipid solubility than morphine. Ref KD Tripathi 8th ed.